Mark a FALSE statement regarding Wolfram syndrome
1. Diabetes mellitus
2. Optic Atrophy
3. Retrobulbar neuritis
4. Sensorineural Deafness

Correct answer: 3. Retrobulbar neuritis

Explanation: Types of diabetes mellitus Type 1 A Immune mediated Diabetes mellitus ( insulinopenia) Type 1 B Idiopathic mediated diabetes mellitus ( insulinopenia) Type 2 Due to insulin resistance MODY Maturity Onset Diabetes in Young LADA Latent Autoimmune Diabetes in Adults MIDD Maternally Inherited Diabetes and Deafness Wolfram syndrome Diabetes insipidus, diabetes mellitus, optic atrophy and deafness (Mnemonic) DIDMOAD DI- Diabetes insipidus DM- Diabetes mellitus OA - OpticAtrophy D- SensorineuralDeafness Note In diabetes mellitus type 2 - | FPG is due to | hepatic glucose output